Muscles of tongue develop from?
1. Occipital myotome
2. Cervical myotome
3. Thoracic myotome
4. Pharyngeal arches

Correct answer: 1. Occipital myotome

Explanation: ANSWER: (A) Occipital myotomeREF: Langman's Medical Embryology 11th edition pg. 150 table 10.2The number of somites is one of the criteria for determining age of the embryo. Somites further differentiate into these components:Sclerotome forms the cartilage and bone components of the vertebral column.Myotome forms epimeric and hypomeric muscles.Dermatome forms dermis and subcutaneous area of skin.All voluntary muscles of the head region are derived from paraxial mesoderm (somitomeres and somites), including musculature of the tongue (somite 2 to 5 constituting the occipital myotome)Cervical myotomes, after dividing into primaxial and abaxial domains, develop into the upper limb musculatureThoracic myotomes mainly develop the chest wall and abdominal muscles.Muscular component of the pharyngeal arches gives rise to the muscles of mastication, facial expression, pharyngeal and intrinsic laryngeal muscles, palatine muscles, stapedius, tensor tympani, cricothyroid.